After vasectomy aspermia will become evident in:
1. 2 to 3 weeks
2. 4 to 6 weeks
3. 8 to 10 weeks
4. 10 to 12 weeks

Correct answer: 4. 10 to 12 weeks

Explanation: 10 to 12 weeks